A 30 year old manic patient was prescribed haloperidol one week back. For the last two days, he has become restless and kept pacing in the room for a day. On examination, he was found to have tremors of hand. He is most likely suffering from -
1. Anhedonia
2. Dystonia
3. Restless leg syndrome
4. Akathisia

Correct answer: 4. Akathisia

Explanation: Restlessness and pacing in room within 1 week of antipsychotic (haloperidol) therapy suggest the diagnosis of Akathisia.